In secondary syphilis all are seen except:
1. Condyloma lata
2. Interstitial keratitis
3. Arthritis
4. Proteinuria

Correct answer: 2. Interstitial keratitis

Explanation: B i.e. Interstitial Keratitis